A 40-years-old female patient presented with recurrent headaches. MRI showed an extra-axial, dural based and enhancing lesion. The most likely diagnosis is:
1. Meningioma
2. Glioma
3. Schwannoma
4. Pituitary' adenoma

Correct answer: 1. Meningioma

Explanation: Meningioma can present with headaches, seizures, or focal neurologic deficits. On imaging studies they have a characteristic appearance usually consisting of a partially calcified, densely enhancing extra axial tumor arising from the dura. Occasionally they may have a dural tail, consisting of thickened, enhanced dura extending like a tail from the mass. Ref: DeAngelis L.M., Wen P.Y. (2012). Chapter 379. Primary and Metastatic Tumors of the Nervous System. In D.L. Longo, A.S. Fauci, D.L. Kasper, S.L. Hauser, J.L. Jameson, J. Loscalzo (Eds), Harrison's Principles of Internal Medicine, 18e.